Which of the following has subterminal spores?
1. C. bifermentans
2. C perfringens
3. C tetani
4. C tertium

Correct answer: 2. C perfringens

Explanation: Cl. perfringens has subterminal spores (club shaped) Location of spores: Most of the clostridia bear a sub-terminal spores except: C. tetani Spherical and terminal spore (drum stick appearance) C. tertium Oval and terminal spore (tennis racket appearance) Most clostridia Subterminal spore (club shaped) C. bifermentans Central and oval spore (spindle shaped)